Which of the following is NOT true of dystrophic calcification?
1. Occurs in damaged tissue
2. Tuberculous lesions
3. Atherosclerotic lesions
4. Serum calcium levels are high

Correct answer: 4. Serum calcium levels are high